Investigation in a patient of oliguria revealed Urine osmolity 620 mosm/kg Urine sodium :12mmol/L Urine /plasma urea ratio :13 :1 The most likely diagnosis is -
1. Prerenal acute renal failure
2. Acute tubular recrosis
3. Acute cortical necrosis
4. Urinary tract obstruction

Correct answer: 1. Prerenal acute renal failure